The radicular pulp is continuous with tissues of the periapical area via the:
1. Pulp canal
2. Pulp chamber
3. Mental foramen
4. Apical foramen

Correct answer: 4. Apical foramen